Hormone that stimulates gluconeogenesis is:
1. Glucagon
2. Epinephrine
3. None of the above
4. Both of the above

Correct answer: 4. Both of the above

Explanation: Ans:D.)Both of the Above. Glucagon and epinephrine, hormones that are responsive to a decrease in blood glucose, inhibit glycolysis and stimulate gluconeogenesis in the liver by increasing the concentration of cAMP. This in turn activates cAMP-dependent protein kinase, leading to the phosphorylation and inactivation of pyruvate kinase. They also affect the concentration of fructose 2,6-bisphosphate and therefore glycolysis and gluconeogenesis Ref: Harper 28thedition, chapter 20.